All of the following can be used to treat alcohol dependence except:
1. Naltrexone
2. Acamprosate
3. Flumazenil
4. Disulfiram

Correct answer: 3. Flumazenil

Explanation: Ans. (C) Flumazenil(Ref: Katzung, 11/e p395; Goodman and Gilman, 11/e p383- 384; KDT 8/e p 421, 435)Flumazenil is a benzodiazepine antagonist used for treat of benzodiazepine overdose and not for alcohol dependence.